Causes of Hydramnios are all except :
1. Anencephaly
2. Oesophageal atresia
3. Posterior urethral value
4. Twins

Correct answer: 3. Posterior urethral value

Explanation: Posterior urethral value